Pulsus alternans is seen in
1. Severe ventricular dysfunction
2. HOCM
3. AS
4. CP

Correct answer: 1. Severe ventricular dysfunction

Explanation: Pulses alterans is defined by beat-to-beat variability of pulse amplitude.It is seen in patients with severe left ventricular dysfunction and systolic heart failure,and is thought to be due to cyclic changes in intracellular calcium and action potential duration. Hypertrophic obstructive cardiomyopathy is characterised by jerky pulse (pulses bisferens). Aortic stenosis is characterised by slow rising carotid pulse.(pulses parvus et tarsus) AS may also have anacrotic pulse Harrison's Medicine-20 the edition.